Purely for diagnostic purpose preferred mode of visualizing biliary tree will be
1. Endoscopic Retrograde Cholangiopancreatogram (ERCP)
2. Percutaneous Transhepatic Cholangiogram (PTC)
3. Magnetic Resonance Cholangiopancreaticogram (MRCP)
4. CT angiogram

Correct answer: 3. Magnetic Resonance Cholangiopancreaticogram (MRCP)

Explanation: MAGNETIC RESONANCE CHOLANGIO PANCREATOGRAPHY (MRCP) It is a non-invasive diagnostic method using magnetic field and energy as resonance. *T1 weighted images are used for pancreas. *T2 weighted images are used for biliary tree. (Both images are used to see invasion and adjacent structures.) Advantages * It is non-invasive. * It gives equal or better imaging than ERCP. *Pancreatic divisum or annular pancreas are identified easily by MRCP. * Ductal dilatation in chronic pancreatitis and visualization of duct beyond stricture is possible. * Islet tumours are better visualized and diagnosed by MRCP. Disadvantages * Availability. * It is only diagnostic. Not therapeutic (ERCP is both diagnostic as well as therapeutic). * Costly.Magnetic Resonance Cholangiopancreatography(MRCP) is a non-contrast non-invasive imaging method,better than ERCP as diagnostic tool in biliary and pancreatic diseases. Reference:SRB's manual of surgery,5th edition,page no:613